Gain of function mutation in RAS gene is equal to loss of function mutation in
1. Rb
2. Bcr-tyrosine kinase
3. Bcl-2
4. GAP protein

Correct answer: 4. GAP protein